Bagassosis is most likely caused due to the inhalation of the dust of –
1. Free silica
2. Coal
3. Sugarcane
4. Cotton fibre

Correct answer: 3. Sugarcane

Explanation: Anthracosis – Coal dust
Silicosis – Silica
Siderosis – Iron
Byssinosis – Cotton dust
Farmer's lung – Hay or grain dust
Sequousis – Moldy red wood saw dust
Suberosis – Moldy cork dust
Detergent worker's lung – Enzyme additives
Baggassosis – Sugarcane dust